Composition of toned milk is approximately close to:
1. Cow
2. Buffalo
3. Human
4. Goat

Correct answer: 1. Cow

Explanation: Toned milk is a blend of natural milk and made up milk. It contains 1 part water, 1 part natural milk and 1/8 th part of skimmed milk powder. It has composition almost equivalent to cow milk. Ref: Park, 22nd edition pg: 584